A Dentist notices a rash on a child’s wrist while treating a fractured tooth. Upon enquiry, the child says that he was wearing a metal bracelet in that region. Which type of crown should he use for restoring this tooth.
1. Porcera All Ceram
2. Porcelain fused to metal
3. Stainless steel crown
4. Resin  bonded FPD

Correct answer: 1. Porcera All Ceram